Certain viruses have been isolated in crystalline
form and have been found to be
1. Nucleotides
2. Phospholipids
3. Scteroproteins
4. Nucleoproteins

Correct answer: 4. Nucleoproteins